Which of the following statement is false regarding Sengstaken Blakemore tube?
1. Used to arrest acute variceal bleed
2. Gastric balloon should be inflated, with 200- 250 mL of air
3. Pressure in the oesophageal balloon is 60 mm Hg.
4. Endotracheal intubation prior to tube insertion reduces the risk of pulmonary aspiration

Correct answer: 3. Pressure in the oesophageal balloon is 60 mm Hg.

Explanation: Sengstaken Blakemore tube: Used to arrest acute variceal bleed Gastric balloon is inflated with 300 mL of air and retracted to the gastric fundus Oesophageal balloon is inflated to a pressure of 40 mmHg Endotracheal intubation prior to tube insertion reduces the risk of pulmonary aspiration